The indicators of the periodontal disease status measures all of the following by using CPI index in oral health surveys EXCEPT:
1. Bleeding
2. Bone loss
3. Calculus
4. Periodontal pocket

Correct answer: 2. Bone loss